In transposition of great vessels, all are true except –a) Aorta arises from the right ventricleb) Mitral valve is continuous with the aortic valvec) Causes jaundice immediately after birthd) None of the above
1. bc
2. c
3. ac
4. ad

Correct answer: 1. bc

Explanation: Mitral valve is continous with pulmonary valve.